Which one of the following is the major determinant of plasma osmolality -
1. Serum sodium
2. Serum potassium
3. Blood glucose
4. Blood urea nitrogen

Correct answer: 1. Serum sodium

Explanation: Ans. is 'a' i.e., Serum sodium o Plasma osmolality = 2 (sodium + potassium)+BUN2.8+Blood sugar18